Female presents with history of color change from pallor to cyanosis on exposure to cold in fingers.This condition is mostly associated with ?
1. Scleroderma
2. Leukemia
3. Lung infections
4. Hepatosplenomegal

Correct answer: 1. Scleroderma

Explanation: Raynauds phenomenon- characterised by sequential colour changes of pallor,cyanosis, and redness accompanied by tingling numbness or pain.It is due to exaggerated vascular response to cold. manifestations of systemic sclerosis - sclerodactyly,telengiectasia, Raynaud's phenomenon, oesophageal disease, lung involvement, cardiac manifestations and renal involvement. Reference IADVL's concise textbook of dermatolology page 1230